MC site of basal cell carcinoma of eyelid:
1. Upper eyelid
2. Lower eyelid
3. Medial canthus
4. Outer canthus

Correct answer: 2. Lower eyelid

Explanation: Ans. B i.e. Lower eyelid